Middle meningeal artery is direct branch of -
1. External carotid artery
2. Maxillary artery
3. Superficial temporal artery
4. Middle cerebral artery

Correct answer: 2. Maxillary artery

Explanation: Middle meningeal artery is a branch of the first part of the maxillary artery given off in the infratemporal fossa. It enters the middle cranial fossa through the foramen spinosum.